True about Autoimmune type II Liver disease?
1. Antinuclear antibody
2. LKM-1 antibody
3. Antismooth muscle antibody
4. DS DNA

Correct answer: 2. LKM-1 antibody

Explanation: Ans. is 'b' i.e., LKM-1 antibody